Red colour blindness is called
1. Protanopia
2. Deuteranopia
3. Protanomaly
4. Deuteranomaly

Correct answer: 1. Protanopia

Explanation: (A) Protanopia # Colour blindness: X-linked recessive disorder> Red-green blindness is more common in congenital type# Protonope: Missing of red sensation Deuteranope: Missing of green sensation Tritanope: Missing of blue sensation> Test for colour blindness# Isihara's test: are for routine testing particularly for -green blindness.# Farnsworth Munsell 100 hue test: Scientifically most accurate# Edridge-Green-Lantern test: mainly important for engine drivers Holmgren's wools test Negel's anamaloscope